Duramater of posterior cranial fossa is supplied by all except
1. Hypoglossal nerve
2. Vagus nerve
3. Spinal accessory nerve
4. Facial nerve

Correct answer: 3. Spinal accessory nerve

Explanation: Nerve supply of duramater of posterior cranial fossa  7th, 9th, 10th, 12th cranial nerves and spinal nerves C1, C2, C3